Periventricular Leukomalacia most commonly causes
1. Spastic quadriplegia
2. Hypotonic Cerebral palsy
3. Spastic diplegia
4. Dyskinetic cerebral palsy

Correct answer: 3. Spastic diplegia

Explanation: Pathology
Cerebral Palsy subtype




Periventricular
Leukomalacia


Spastic diplegia




Parasaggital brain injury


Spastic quadriparesis




Middle cerebral artery (MCA) teritory infarction


Spastic hemiplegia




Basal ganglia


Dyskinetic cerebral palsy